All of the following are common problems in preschool children except ___________
1. Temper tantrums
2. Sleep problems
3. Truancy
4. Pica

Correct answer: 3. Truancy

Explanation: Truancy and running away are never developmentally appropriate. Truancy may represent disorganization within the home, caretaking needs of younger siblings, developing conduct problems, or emotional problems including depression or anxiety. Whereas younger children may threaten to run away out of frustration or a desire to get back at parents, older children who run away are almost always expressing a serious underlying problem within themselves or their family, including violence, abuse, and neglect. Adolescent runaways are at high risk for substance abuse, unsafe sexual activity, and other risk-taking behaviors. Youth exhibiting truancy or running away should be referred for a mental health evaluation Ref.nelson 20th edition pg 175